Quetelet's index used to assess obesity, is represented as -
1. Weight di vided by Height
2. Height divided by weight
3. Weight divided by square of Height
4. Height divided by square of weight

Correct answer: 3. Weight divided by square of Height

Explanation: Ans, is 'c' i.e., Weight divided by the square of Height Different indices use to determine obesity are : Body mass index, Quetelet's index - FAO/WHO recommends it's use internationally as reference stand-ard for assessing the prevalence of obesity in a community. Wt (kg) BMI = -------------------------- Ht2 (m) Height (cm) Ponderal index = -------------------------------- Cube root of body wt (kg) Broca index = Height (cm) - 100 Simplest index Actual weight Corpulence index = -------------------------- Desirable weight o This should not exceed 1[?]2 Ht (cm) - 150 Lorentz's formula = Ht(cm)-100 ------------------------ 2 (Female) or 4 (Male)